Which of the following is the extended criteria donor for transplant of kidney?
1. Extreme age of donor
2. Donors with hypertension
3. Donors with CVA
4. All of the above

Correct answer: 4. All of the above

Explanation: Ans. (d) All the aboveRef: Bailey and Love 27th edition, Page 1544In kidney transplant extended donor criteria is defined in USA as* Donor age > 60 years (or)* Donor age 50-60 years with any two of the following problems# Hypertension# Death from stroke# Terminal creatinine >132mmol/l.These marginal donors have less satisfactory outcomes than standard donors.